Bland cholestasis is seen with -a) OCPb) Androgenc) Chlorpromazined) Erythromycin
1. ab
2. a
3. ad
4. bc

Correct answer: 1. ab